Diseases caused by arboviruses include all except:
1. Yellow fever
2. Japanese encephalitis
3. Trench fever
4. Dengue

Correct answer: 3. Trench fever

Explanation: Arboviral infections (arthropod-borne viral infections) in India: &; Group A(Alpha Viruses) Sindbis Chikungunya Group B(Flavivirus) Dengue KFD JE West Nile Others Umbre Sathuperi Chandipura Chittor Ganjam Minnal Venkatapuram Dhori Kaisodi Sandfly fever African Horse sickness Vellore Ref: Park 25th edition &; pgno: 302